Acetic acid staining of cervix shows the following, except:
1. Squamous metaplasia
2. Cervical carcinoma in situ
3. Cervical polyp
4. Cervical dysplasia

Correct answer: 3. Cervical polyp

Explanation: Cervical polyp is a common benign tumor on the surface of the cervical canal which has tissues much like the smooth muscle cells seen in a fibroid. The polyp does not pick up active staining with aceti acid because it has mosty 'resting' cells Acetic acid used coagulate the proteins - make the area Acetowhite. Biopsy taken from this area. Acetic acid staining of cervix shows Cervical carcinoma in situ Cervical dysplasia Squamous metaplasia